Best for treatment of irritable bowel syndrome with spastic colon is
1. Liquid paraffin
2. Senna
3. Bisacodyl
4. Dietary fibers

Correct answer: 4. Dietary fibers

Explanation: Ans. d (Dietary fibers). (Ref. KD Tripathi 5th ed. - 614)Spastic constipation/Irritable bowel1st choice laxative:# Dietary fibers# Bulk forming laxative such as Ispaghula, methylcellulose.While Stimulant purgatives like:# Castor oil,# Senna,# Bisacodyl, Phenolphthalein........ are contraindicated.